Substance present in both serum and plasma:
1. Fibrinogen
2. Factor II
3. Factor VII
4. Factor V

Correct answer: 3. Factor VII

Explanation: Ans. C: Factor VIISerum has essentially the same composition as that of plasma except that its fibrinogen and clotting factors II,V and VIII has been removed and it has a higher seroton in content.